Most commonly used approach for retrosternal goitre:-
1. Transthoracic second intercostal space
2. Trans-sternal through anterior mediastinum
3. Transcervical
4. Axillary approach

Correct answer: 3. Transcervical

Explanation: Retrosternal goitre: - >50% thyroid tissue located below neck - A.K.A i. Sub-sternal Goitre ii. Mediastinal Goitre Retrosternal Goitre Primary Mediastinal Goitre - BLOOD SUPPLY From Neck region From mediastinum region - APPROACH Transcervical Thoracic Primary Mediastinal Goitre: Diameter of Goitre > Thoracic inlet